Proprioception is lost when?
1. Posterior part of spinal cord is injured
2. Lateral part of spinal cord is injured
3. Anterior part of spinal cord is injured
4. None

Correct answer: 1. Posterior part of spinal cord is injured

Explanation: Ans. is'a'i.e., Posterior part of spinal cord is injuredPosterior part of spinal cord consists of fasciculus gracilis and fasciculus cuneatus which carry the sensations of and vibration to the brain.They also carry fine touch and kinesthesia.